Structure not injured in submandibular gland excision ?
1. Inferior alveolar nerve
2. Lingual nerve
3. Hypoglossal nerve
4. Marginal mandibular branch of facial nerve

Correct answer: 1. Inferior alveolar nerve

Explanation: Submandibular duct runs forward between the lingual nerve and hypoglossal nerve.Marginal mandibular branch of facial nerve passes posterio inferior to angle of jaw, so it may be injured if incision is too close to angle of jaw.